Gold standard method of diagnosing celiac disease is:
1. Small bowel biopsy
2. Anti-endomysial antibodies
3. Blood picture
4. Biochemical tests

Correct answer: 1. Small bowel biopsy

Explanation: Ans: A i.e. Small bowel biopsy Diagnosis of celiac disease Endoscopic small bowel biopsy is the gold standard for diagnosing celiac disease IgA anti-endomysial antibodies are detectable by immunofluorescence in most untreated cases. They are not quantitative, but are sensitivie (85-95%) and specific (approximately 99%) for the diagnosis, except in very young infants A full blood count in celiac disease may show microcytic or macrocytic anaemia from iron or folate deficiency and features of hyposplenism (target cells, spherocytes and Howell-Jolly bodies) Biochemical tests may reveal reduced concentrations of calcium, magnesium, total protein, albumin or vitamin D